Albumin treatment along with antibiotic in the setting of SBP(spontaneous bacterial peritonitis) is indicated to prevent the development of hepatorenal syndrome is in all , EXCEPT:
1. Serum creatine is > 1 mg/dl
2. BUN > 30mg/dl
3. Total bilirubin is > 4 mg/dl
4. INR > 2

Correct answer: 4. INR > 2

Explanation: In patients with SBP along with cefotaxime albumin infusion is indicated in the setting , when 1.Serum creatine is > 1 mg/dl 2. BUN > 30 mg/dl 3. Total bilirubin is > 4 mg/dl Dose o f albumin: 1. g/Kg within 6 hours of antibiotic treatment and 1 g/kg on day 3. A decrease in mortality from 30%to 10 % is noted. Ref: AASLD practice guidelines:Hepatology, Vol.49 ,No.6 ,2009.